A 25 year old person sustained injury in right eye. He developed right corneal opacity following the injury. Left eye was already having poor vision. Corneoplasty of right eye was done and vision was restored. Medicolegally such injury is labelled as:
1. Grievous
2. Simple
3. Dangerous
4. Serious

Correct answer: 1. Grievous

Explanation: A i.e. Grevious